The plasticizers used in polyether impression material is:
1. Polyether polymer
2. Colloidal silica
3. Glycol ether
4. Di-vinyl poly (dimethyl siloxane)

Correct answer: 3. Glycol ether